Quaternary structure of protein is:
1. The arrangement sequence of amino acids in the polypeptide chain
2. Inter relation between amino acids in a single polypeptide chain
3. Inter relation of amino acid in 2 polypeptide chains
4. The inter relation and arrangement of polypeptides in a protein with more than 2 polypeptides chains

Correct answer: 4. The inter relation and arrangement of polypeptides in a protein with more than 2 polypeptides chains

Explanation: Ans. D. The inter relation and arrangement of a polypeptides in the protein with more than 2 polypeptides chains)a. Protein that contain two or more polypeptide chains associated by non-covalent forces are said tob. exhibit quaternary structure.c. The arrangement sequence of amino-acids in the polypeptide chain -- is primary structure of protein.d. Inter relation of amino-acids in polypeptide chain is -- secondary structure.